A mature, encapsulated collection of pancreatic and/or peripancreatic necrosis that has developed a well defined inflammatory wall is best known as:
1. WOPN (walled-off Pancreatic necrosis)
2. Pseudocyst
3. Pancreatic abscess
4. Cystic neoplasm of pancreas

Correct answer: 1. WOPN (walled-off Pancreatic necrosis)

Explanation: WOPN (walled-off pancreatic necrosis) A mature, encapsulated collection of pancreatic and/or peripancreatic necrosis with a well defined inflammatory wall. WOPN usually occurs >4 weeks after onset of necrotising pancreatitis. CECT criteria Heterogeneous with liquid and non-liquid density with varying degrees of loculations Well defined wall, that is, completely encapsulated Ref:Gut 2013;62:102-111. doi:10.1136/gutjnl-2012-302779.